Phantom limb is explained by:
1. Webers law
2. Law of projection
3. Fechners law of degeneration
4. Pascals law

Correct answer: 2. Law of projection

Explanation: Ans. B: Law of projection No matter where a particular sensory pathway is stimulated along its course to the cortex, the conscious sensation produced is referred to the location of the receptor. This principle is called the law of projection. Cortical stimulation experiments during neurosurgical procedures on conscious patients illustrate this phenomenon. For example, when the cortical receiving area for impulses from the left hand is stimulated, the patient reports sensation in the left hand, not in the head. Another example is seen in amputees. Some of these patients may complain, often bitterly, of pain and proprioceptive sensations in the absent limb (phantom limb). The ends of the nerves cut at the time of amputation often form nerve tangles called neuromas. These may discharge spontaneously or when pressure is put on them. The impulses generated in them are in nerve fibers that previously came from sense organs in the amputated limb, and the sensations evoked are projected to where the receptors used to be.